Best prognosis in CA GB is seen in
1. Papillary
2. Adenocarcinoma
3. Squamous
4. Melanoma

Correct answer: 1. Papillary

Explanation: Histological types in gallbladder Carcinoma Diffuse infiltrative :MC type Nodular or mass forming Papillary : Exhibits polypoid or cauliflower appearance and have best prognosis Adenocarcinoma : MC histological subtype of CA GB Ref: Sabiston 20th edition Pgno :1512-1514